Rice watery stools are Characteristic of
1. Staphylococus
2. Vibrio cholera
3. E.coli
4. Shigella

Correct answer: 2. Vibrio cholera

Explanation: About 50% of infections with classic V cholerae are asymptomatic, as are about 75% of infections with the El Tor biotype. The incubation period is 12 hours-3 days. There is a sudden onset of nausea and vomiting and profuse diarrhea with abdominal cramps. Stools, which resemble "rice water," contain mucus, epithelial cells, and large numbers of vibrios. There is a rapid loss of fluid and electrolytes, which leads to profound dehydration, circulatory collapse, and anuria. The mortality rate without treatment is between 25% and 50%.Ref: Jawetz; 27th edition; Page no: 255